Anemia will be more severe in which of the following endocrine condition?
1. Addison's disease
2. Hypothyroidism
3. Castration
4. Hyperparathyroidism

Correct answer: 1. Addison's disease

Explanation: Anemia will be more severe in Addison's disease. Hyperparathyroidism may lead to mild anemia due to decreased EPO production. Patients who are hypothyroid or have deficits in pituitary hormones also develop mild anemia. Reference: Harrisons Principles of Internal Medicine, 18th Edition, Page 850